Which of the following groups of proteins assist in the folding of other proteins?
1. Proteases
2. Proteosomes
3. Templates
4. Chaperones

Correct answer: 4. Chaperones

Explanation: Chaperones are proteins that assist the covalent folding or unfolding and the assembly or disassembly of other macromolecular structures. Chaperones are present when the macromolecules perform their normal biological functions and have correctly completed the processes of folding and/or assembly. The chaperones are concerned primarily with protein folding